Following are the features of raised intracranial tension except -
1. Altered sensorium
2. Papilloedema
3. Convulsions
4. Tachycardia

Correct answer: 4. Tachycardia

Explanation: There is Bradycardia.